First protein to be broken down for energy in prolonged starvation is from-
1. Skeletal muscle
2. Smooth muscles
3. Kidney
4. Liver

Correct answer: 1. Skeletal muscle

Explanation: Ans. is 'a' i.e., Skeletal muscle o Proteins are degraded in Skeletal muscles to liberate amino acids which are utilized for gluconeogenesis.